What is caused by Candida albicans
1. Moniliasis
2. Perleche
3. Paronychia
4. All of the above

Correct answer: 4. All of the above

Explanation: Candidiasis:- * C. albicans common inhabitant of skin, GU and GI tract * Opportunistic organism, can become pathogen in skin, nails and mucous membranes Ref:- Sima Jain; pg num:- 233 * Frequently infects intertriginous areas.